For treatment of shock, if colloid infusion is used, the ratio at which the blood loss is compensated, is
1. 1:02
2. 1:01
3. 1:03
4. 1:05

Correct answer: 2. 1:01